In infancy, atopic dermatitis spares
1. Extensor surfaces
2. Forehead
3. Scalp
4. Diaper area

Correct answer: 4. Diaper area

Explanation: Atopic dermatitis (AD), or eczema, is the most common chronic relapsing skin disease seen in infancy and childhood. Infants with the AD are predisposed to the development of allergic rhinitis and/or asthma later in childhood, a process called "the atopic march.Major features:Pruritus Facial and extensor eczema in infants and childrenFlexural eczema in adolescentsChronic or relapsing dermatitisPersonal or family history of atopic diseaseMost patients with AD have dry, lackluster skin irrespective of their stage of illness. The AD is generally acuter in infancy and involves the face, scalp, and extensor surfaces of the extremities. The diaper area is usually spared. Older children and children with chronic AD have lichenification and localization of the rash to the flexural folds of the extremities.Reference: Nelson Textbook of Paediatrics; 20th edition; Chapter 145; Atopic Dermatitis (Atopic Eczema)